Which of the following is phase-2 reaction -
1. Oxidation
2. Reduction
3. Cyclination
4. Acetylation

Correct answer: 4. Acetylation

Explanation: Ans. is 'd' i.e., Acetylation o Phase I reactions: - Oxidation, reduction, hydrolysis, cyclization, decyclization.o Phase II reactions: - Acetylation, glutathione conjugation, glucoronide conjugation (glucuranization), glycine conjugation, methylation, sulfate conjugation (sulfuranation), nucleotide synthesis.